A case control study is not characterized by ?
1. Cases with the disease are compared to controls without the disease
2. Assessment of past exposure may be biased
3. Definition of cases may be difficult
4. Incidence rates may be computed directly

Correct answer: 4. Incidence rates may be computed directly

Explanation: Ans. is 'd' i.e., Incidence rates may be computed directly